Which of the following test are used for arsenic poisoning -a) Marsh's testb) Reinsh's test c) Macewan's test d) Marqui's test
1. ac
2. a
3. ad
4. ab

Correct answer: 4. ab

Explanation: Marsh's test and Reinsh's test were used arsenic poisoning, but are obsolete now.